All the features of the Ileum EXCEPT:
1. Larger circular muscosal folds
2. Short villi
3. Peyer's patches
4. Numerous solitary lymphatic follicles

Correct answer: 1. Larger circular muscosal folds

Explanation: (Larger circular mucosal folds): Ref: 251, 254-BDC-2Differences between Jejunum and IleumFeaturesJejunumIleum1. LocationOccupies upper and left parts of the intestinal areaOccupies lower and right parts of the intestinal area2. WallsThicker and more vascularThinner and less vascular3. LumenWider and often emptyNarrower and often loaded4. Mesentery(a) Window present(b) Fat less abundant(c) Arterial arcades 1 or 2(d) Vasa recta longer and fewer(a) No window(b) Fat more abundant(c) Arterial arcadas 3 or 6(d) Vasa recta shorter and more mnumerous5. Circular mucasal foldsLarger and more closely setSmaller and sparse6. VilliLarge, thick (leaf like) and more abundantShorter, thinner (finger like) and less abundant7. Peyer's patchesAbsentPresent8. Solitary lymphatic folliclesFewerMore numerousDifferences between the small intestine and the large IntestineFEATURESMALL INTESTINELARGE INTESTINE1. Appendices epiploicaeAbsentPresent2. Taeniae coliAbsentPresent3. SacculationsAbsentPresent4. DistensibilityLessMore5. FixityGreater part is freely mobileGreater part is fixed6. VilliPresentAbsent7. Transverse mucosal foldsPermanentObliterated when longitudinal muscle coat relaxes8. Peyer's patchesPresent in ileumAbsent